Within practical limits, using less water in mixing plaster will result in a set product that
1. Contracts
2. Is stronger
3. Is more porous
4. Is less brittle

Correct answer: 2. Is stronger